Meckel's diverticulum is a remnant of
1. Stenson's duct
2. Wolffian duct
3. Mullerin duct
4. Vitellointestinal duct

Correct answer: 4. Vitellointestinal duct

Explanation: INDERBIR SINGH'S TEXTBOOK OF HUMAN HISTOLOGY-page no:195 Persistence of a part of the vitellointestinal duct may give rise to the presence of a diverticulum attached to the terminal part of the ileum.this is called Meckel's diverticulum or diverticulum ilei